Measles epidemic can be anticipated when proportion of suceptible children in a community
1. 20%
2. 40%
3. 60%
4. 80%

Correct answer: 2. 40%